A membrane immunoassay has been recently marked
as "Evalusite' it is designated to detect _________ microorganism.
1. A.actinomycetemcomitans, P.gingivalis & P.intermedia
2. kactinomycetemcomitans, T.denticola, B.forsythus
3. Strep. sanguis, Strep. mitts, T. denticola
4. P. gingivatis & E. corrodens

Correct answer: 1. A.actinomycetemcomitans, P.gingivalis & P.intermedia